Which of the following is not a major component of endodontic pathogenic mechanism
1. Microbial interferences
2. Enzymes
3. Exotoxins
4. Endotoxin

Correct answer: 3. Exotoxins

Explanation: Pathogenicity of endodontic microflora depends on:
1) Microbial interaction:
a) Microbial interactions can influence the ecology of endodontic flora in a positive manner (synergistic ) or negative maner.
b) For example, Prevotella oralis fails to establish in root canals as monoinfection, whereas it dominates the endodontic flora in presence of other bacteria.
2) Endotoxin: Gram negative organisum dominate the endodontic flora. The death of these organisum in the apical root releases LPS (lipopolysaccharides) which can initiate and sustain apical periodontitis.
3) Enzmes: endodontic microbes produce a varity of enzmes which are not directly toxic but may aid the spread of the organisum in host tissues. Microbias collagenase, hyaluronidase, fibrinolysins and proteases are some examples.
4) Microbial Interference with the host defence.